Incidence of primary open-angle glaucoma in population over 40 years of age is about:
1. 1 in 100
2. 1 in 200
3. 1 in 500
4. 1 in 1000

Correct answer: 1. 1 in 100

Explanation: Ans. 1 in 100